True about non competitive in hibition are all except-
1. Potency reduced
2. Km unchanged
3. V max reduced
4. Binds to another site of receptor

Correct answer: 1. Potency reduced

Explanation: Ans. is 'a' i.e., Potency reduced Competitive antagonistNon comoetitive antagonist1. Antagonist bind to the same receptors as agonist2. Antagonist resembles chemically with the agonist3. The same maximal response can be obtained4. Potency is reduced (Right shift of DRC)5. Km is increased but Vmax is unchanged1. Binds to another site of receptor2. Does not resemble3. Maximal response is supressed4. Efficacy is reduced (Flattening of DRC)5. Km is unchanged but Vmax. is reduced.